A patient presents to the clinic with pain in the right hand following a fall. Xray of right upper limb reveals fracture of the medial epicondyle of humerus. Which of the following nerve is most liked to be damaged in this patient?
1. Radial nerve
2. Ulnar nerve
3. Median nerve
4. Musculocutaneous nerve

Correct answer: 2. Ulnar nerve

Explanation: Ulnar nerve is related to the posterior aspect of medial epicondyle and it is injured in case of fracture of the medial epicondyle.The axillary nerve is related to the surgical neck of humerus and is damaged in fracture of the surgical neck and in anterior dislocation of the humeral head.The radial nerve is related to the posterior aspect of shaft at the spiral groove, hence it is injured in fracture of mid shaft of the humerus and also following careless injection into the triceps muscle.